8 year old child with hematuria in 5 days after throat infection?
1. Post streptococcal nephropathy
2. Ig A nephropathy
3. Nephrotic syndrome
4. can be a or b

Correct answer: 2. Ig A nephropathy

Explanation: Ans. is 'b'i.e., Ig A Nephnopathy IgA nephropathy Predominant deposition of IgA in glomeruli. RECURRENT episode of gross rematuria that also precipitation by URTI in last 2-5 days. PSGN Acute GN following infection by group A - -hemolytic streptococci. Common in school age children. o Streptococcal infection usually of throat (4 or 12 strain) or skin (strain 49) by 1-4 week prior to AGN. Edema, oliguria, hypertension, ARF, hematurea of abrupt onset.